TRUE statement about bronchopulmonary segment
1. Spherical in shape
2. Artery is intersegmental
3. Pulmonary veins are intersegmental
4. Non resectable

Correct answer: 3. Pulmonary veins are intersegmental

Explanation: Bronchopulmonary segment: segment of lung which is aerated by tertiary bronchus and its accompanying pulmonary artery branch. A bronchopulmonary segment is the smallest functionally independent region of a lung &the smallest area of lung that can be isolated & removed without affecting adjacent regions. Right lung: 10 bronchopulmonary segment (BPS) and left lung: 9 BPS. BPS is pyramidal in shape with the apex towards hilum & base towards periphery. Tertiary bronchus, bronchial artery and pulmonary artery are the structures that are inside the BPS. The pulmonary veins are intersegmental in nature, not inside BPS.